Which of the following is scoring system for the severity of wound infection?
1. PRISMA guidelines
2. ASEPSIS score
3. Manchester scoring system
4. POSSUM score

Correct answer: 2. ASEPSIS score

Explanation: Southampton scoring systems and ASEPSIS systems are for the severity of wound infection, which are particularly useful in surveillance and research. PRISMA guidelines are for the methods of systematic review and meta-analysis Manchester scoring system for severity of illnessPOSSUM score (Physiologic and Operative Severity Score for the enUmeration of Mortality and Morbidity) are used to predict all-cause mortality in postoperative critical care patientsRef: Bailey and Love 27e pg: 47